Which of the following is not a feature of normal pressure hydrocephalus:
1. Affects elderly usually
2. Ventriculomegaly on imaging studies
3. Measurement of CSF pressure may be normal
4. Lesion is blockage of CSF pathways from the lateral to fourth ventricle

Correct answer: 4. Lesion is blockage of CSF pathways from the lateral to fourth ventricle

Explanation: Ans. D: Lesion is blockage of CSF pathways from the lateral to fourth ventricle Although one-off measurement of CSF pressure may be normal the syndrome is thought to arise from impaired CSF absorption